True about Golgi tendon organ is
1. Sense the dynamic length of the muscle
2. Are involved in reciprocal innervations
3. Are stimulated by alpha motor neuron
4. Sense muscle tension

Correct answer: 4. Sense muscle tension

Explanation: Ans. d. Sense muscle tension